The earliest diagnostic test of pregnancy :
1. Ultrasound
2. Beta HCG
3. Fetal movements
4. Fetal heart sounds

Correct answer: 2. Beta HCG

Explanation: Beta HCG